Diffusion of oxygen at the tissue level is affected in all the following poisoning except -
1. Carbon monoxide
2. Curane
3. Phosgene
4. Cyanides

Correct answer: 2. Curane

Explanation: Peripheral nerve poison, e.g. curare Asphyxiants, e.g. carbon monoxide,CO2,H2S,phosgene(war gas),cyanides REF;THE SYNOPSIS OF FORENSIC MEDICINE:KS NARAYANA REDDY;28th EDITION;PAGE NO 361